What happens to LDH 1 & 2 ratio in MI?
1. LDH1>LDH2
2. LDH2>LDH1
3. LDH1=LDH2
4. Remains the same

Correct answer: 1. LDH1>LDH2

Explanation: Ans. A. LDH1>LDH2In normal persons LDH2>LDH1. In myocardial infarction LDH1 level rises, LDH1>LDH2. This is called flipped pattern of LDH.